Changes occuring in vessels in Raynauds disease are all except -
1. Asphyxia
2. Recovery
3. Hyperfusion
4. Syncope

Correct answer: 3. Hyperfusion

Explanation: Ans. is 'c' i.e., Hyperperfusion Three stages are observed with exposure to cold or emotional disturbances. These are -Stages of local syncope - On cold exposure - digital arterioles go in spasm and blood flow decreases, pallor or blanching is observed (Stage of blanching).Stage of local asphyxia - With gradual warming there is slow relaxation of arterioleso Slowly flowing blood becomes easily deoxygenated - the part becomes dusky or cyanosed (Stages of dusky anoxia).C) Stage of recovery -o Attack passes off - arterioles are fully relaxed - oxygenated blood returns into dilated capillaries - fingers becomes red and swollen (Stage of red engorgement).